Which of the following is an example of small vessels vasculitis?
1. Takayasu arteritis
2. Microscopic polyangitis
3. Giant cell arteritis
4. Polyarteritis nodosa

Correct answer: 2. Microscopic polyangitis

Explanation: Microscopic polyangitis affects capillaries venules and arterioles besides affecting pulmonary vessels In contrast pulmonary vessels are not involved in polyarteritis nodosa. Takayasu effects aorta and its major branches. Giant cell arteritis affects cranial vessels most commonly temporal artery.